Which of the following is a most important infiltrate in rheumatoid arthritis?
1. Dendritic cells
2. Macrophages
3. Neutrophils
4. CD4+ Helper cells

Correct answer: 4. CD4+ Helper cells

Explanation: Rheumatoid arthritis - Delayed hypersensitivity - Infiltration caused by CD4+ helper cells - Infiltration contribute to development of pannus - Involvement of small joints - IFN-g from TH 1 cells activates macrophages and resident synovial cells. - IL-17 from TH 17 cells recruits neutrophils and monocytes. - TNF and IL-1 from macrophages stimulates resident synovial cells to secrete proteases that destroy hyaline cartilage. - RANKL expressed on activated T cells stimulates bone resorption. - Of these, TNF has been most firmly implicated in the pathogenesis of RA and TNF antagonists have proved to be remarkable effective therapies for the disease.